Pseudoexotropia is associated with:
1. Prominent epicanthal fold
2. Positive angle kappa
3. Negative angle kappa
4. None of the above

Correct answer: 2. Positive angle kappa

Explanation: Ans. Positive angle kappa